NOT true about psoriatic arthritis
1. CASPER Criteria
2. Involves DIP
3. Pencil in cup deformity
4. Bamboo sign

Correct answer: 4. Bamboo sign